Cryoprecipitate cannot be used in?
1. Von-Wilbrand diseas
2. Hemophilia A
3. Hemophilia B
4. DIC

Correct answer: 3. Hemophilia B

Explanation: Ans. is 'c' i.e., Hemophilia B * Hemophilia B (Christmas disease) is due to deficiency of factor IX. Cryoprecipitate does not contain factor IX. Therefore cannot be used.* Fresh frozen plasma or recombinant factor IX is used for treatment.* Cryoprecipitate contains fibrinogen, factor VIIIc and vWF, and factor XIII. It is most commonly used in hypofibrinogenemia (e.g. in DIC).* It can also be used in hemophilia A and von-Willebrand disease (but recombinant factor and desmopressin are preferred in these conditions).